A 60 year old male suffering from auditory hallucination says that people staying upwards are talking about him and conspiring against him. He dropped a police compliant against them but the allegations were proved to be wrong. The diagnosis is:
1. Depression
2. Dementia
3. Delusional disorder
4. Schizophrenia

Correct answer: 4. Schizophrenia

Explanation: D i.e. Schizophrenia